A 29 year male complains of pain in the flank that radiates from the loin to the groin region. The first investigation to be done is -
1. CECT
2. Plain CT Scan
3. USG abdomen
4. Xray Abdomen

Correct answer: 3. USG abdomen

Explanation: Ans. is C. First investigation is USG>Xray Abdomen IOC is CT Gold standard investigation for renal calculi: Non contrast CT scan